Drug with anti - androgenic effect is
1. Amphotericin B
2. Ketoconazole
3. Voriconazole
4. Posconazole

Correct answer: 2. Ketoconazole

Explanation: Ans. is 'b' i.e., Ketoconazole Antiandrogens are - 1. Danazole3. Flutamide5. Finasteride2. Cyproterone acetate4. Bicalutamide6. Dutasteride Other antiandrogens* Superactive GnRH agonists* Spironolactone* Progesterone* Ketoconazole* Cimetidine